Axillary sheath is an extension of?
1. Pre tracheal fascia
2. Prevertebral fascia
3. Carotid sheath
4. Investing layer of deep cervical fascia

Correct answer: 2. Prevertebral fascia

Explanation: ANSWER: (B) Prevertebral fasciaREF: Gray's anatomy 40th ed ch: 28, 46The axillary sheath is a fibrous sheath that encloses the first portion of the axillary artery, together with the axillaryvein andthebrachial plexus. It is an extension of the prevertebral layer of the deep cervical fasciaDeep fascia in the neck is organized into an investing layer, prevertebral fascia, and pretracheal fascia. The carotid sheath is a non-membranous layer of fascia that is conventionally described as part of the deep cervical fascia.